Plasma half life of insulin is:
1. 1 minute
2. 10 minutes
3. 1 hour
4. 2 hours

Correct answer: 2. 10 minutes

Explanation: Ans. B i.e. 10 minutesDegradation of insulinOnce an insulin molecule has docked onto the receptor and effected its action, it may be released back into the extracellular environment, or it may be degraded by the cell.The two primary sites for insulin clearance are the liver and the kidney.The liver clears most insulin during first-pass transit, whereas the kidney clears most of the insulin in systemic circulation.Degradation normally involves endocytosis of the insulin-receptor complex, followed by the action of insulin-degrading enzyme.An insulin molecule produced endogenously by the pancreatic beta cells is estimated to be degraded within about one hour after its initial release into circulation (insulin half-life - 4-6 minutes)